Name of mumps vaccine is:
1. Jeryll Lynn
2. Edmonston
3. Danish 1331
4. OKA

Correct answer: 1. Jeryll Lynn

Explanation: a. Jeryll Lynn(Ref: IAP 228, Nelson's 20/e p 1381, Ghai 8/e p 193-194)Mumps vaccine virus strains include Leningrad-Zagreb, Leningrad-3, Jeryl Lynn strains and are grown in chick embryo/human diploid cell cultures.